In actinomycosis of the spine, the abscess usually erodes-
1. Intervertebral disc
2. Into the pleural cavity
3. Into the reteroperitoneal space
4. Towards the skin

Correct answer: 4. Towards the skin

Explanation: Actinomycosis of the spine is characterized by granulomatous lesions or osteomyelitis. Cutaneous sinus tracts frequently develop.